True about ankle joint is/ are :
1. The joint is strengthened by deltoid ligament
2. It is more stable at dorsi-flexed position
3. It is a hinge joint
4. All

Correct answer: 4. All

Explanation: A i.e. The joint is strengthened by deltoid ligament B i.e. It is more stable at dorsiflexed position C i.e. It is a hinge joint